IPC 320 deals with -
1. Hurt
2. Abetment of suicide
3. Punishment for murder
4. Grievous hurt

Correct answer: 4. Grievous hurt

Explanation: Ans. is 'd' i.e.. Grievous hurto 3191 PC : Defines hurt,o 320IPC : Defines grievous hurt,o 321 IPC : Voluntarily causing hurt,o 322 IPC : Voluntarily causing grievous hurt.o 323 IPC : Punishment for voluntarily causing hurt {no provocation, no dangerous weapon) (1 years imprisonment),o 324 IPC : Punishment for voluntarily causing hurt by dangerous weapon (3 years imprisonment +- fine),o 325 IPC : Punishment for voluntarily causing grievous hurt (no provocation, no dangerous weapon) (7 years imprisonment +- fine).